Which of the following is/ are side effect/s of growth hormone administration?
1. Pain at injection site
2. Glucose intolerance
3. Hypothyroidism
4. All the above

Correct answer: 4. All the above

Explanation: Ans. is 'd' i.e., All the above Adverse effects of growth hormone* Somatropin and somatrem are recombinant GH analogues.* Somatrem has an additional methionine residue and is more immunogenic than somatropin, but allergic reactions or resistance to treatment are not a problem.* Pain at injection site and lipodystrophy can occur.* Glucose intolerance, hypothyroidism (due to unmasking of TSH deficiencv), salt and water retention, hand stiffiress, myalgias, headache are the possible adverse effects* Rise in intracranial tension occurs in few cases.